True regarding MMR vaccine are all of the following EXCEPT?
1. May lead to fever & rash in vaccinated population
2. It is a live vaccine
3. MMR can be given to pregnant females
4. Jeryl Lynn strain has the lowest incidence of post vaccine aseptic meningitis

Correct answer: 3. MMR can be given to pregnant females

Explanation: Discussing about the options one by one, a-True; Adverse events from MMR vaccine include fever (usually 6-12 days following vaccination) Transient macular rash Arthralgia, lymphadenopathy Aseptic meningitis b-True; MMR is a live vaccine c- False; Live vaccines are contraindicated in pregnant women & immunodeficient patients. However, patients with HIV who are not severely immunocompromised - MMR can be given d- True; Multiple studies showed that aseptic meningitis was associated with all mumps vaccine strains except the Jeryl Lynn strain. Note :All live vaccines (except Yellow fever vaccine) are contraindicated in pregnancy